Which of the following parameter will be increased after hepatectomy?
1. Glucose
2. Fibrinogen
3. Estrogen
4. Conjugated bilirubin

Correct answer: 3. Estrogen

Explanation: In both rats & humans, partial hepatectomy results in a substantial increase in serum estradiol concentrations. Because mammalian liver of both sexes contains estrogen receptor, it has been suggested that this surge in serum estrogen concentration may initiate or facilitate liver regeneration. Ref: guyton and hall textbook of medical physiology 12 edition page number: 420,421,422